All of the following are true about medullary carcinoma of thyroid except
1. It is tumour arising from C cells derived from the neural crest
2. Secrete high levels of calcitonin
3. It is not dependent on TSH
4. Most cases are familial

Correct answer: 4. Most cases are familial

Explanation: MEDULLARY CARCINOMA It is an uncommon type it arises from the parafollicular C cells which is derived from ultimobranchial body (neural crest) blood level of calcitonin is a tumour marker it is not dependant on TSH Most cases are sporadic and a small amount is familial ref ;(page no;486) 5th edition of SRB'S Manual of SURGERY